Which layer of epithelium of oral mucous membrane is more sensitive to radiation:
1. Stratum spinosum
2. Stratum granulosam
3. Stratum basale
4. Stratum corneum

Correct answer: 3. Stratum basale